If you calculate the plasma osmolality of a child with plasma Na+ 125 mEq//, glucose 108 mg/ dl, and BUN (blood urea nitrogen) 140 mg/ dl, the most appropriate answer would be:
1. 300 mOsm/kg
2. 306 mOsm/kg
3. 312 mOsm/kg
4. 318 mOsm/kg

Correct answer: 2. 306 mOsm/kg

Explanation: Ans. is 'b' i.e. 306 m Osm/kgRef: Ganong 21st/e p 6Osmolality (m Osm/kg) = 2 + 0.055 + .36 The values in this child:Na+ -> 125 meq/1Glucose 108 mg/dlBUN 140 mg/dlPutting these values in the equationOsmolality = 2 + 0.055 + 0.36 = 250 + 5.94 + 50.4 = 306.34